What would be the most reliable test for an acutely injured knee of a 27 year old athlete
1. Anterior drawer test
2. Posterior drawer test
3. Lachman test
4. Steinmann test

Correct answer: 3. Lachman test

Explanation: C i.e. Lachman test